Hypopigmented patches are seen in
1. Nevus ota
2. Nevus Ito
3. Nevus anemicus
4. Becker nevus

Correct answer: 3. Nevus anemicus

Explanation: Nevus anemicus presents as a single or multiple patches of hypopigmentation with ill-defined margins merging into normal skin present at birth or thereafter. Nevus anemicus presents as congenital hypopigmented patches with a well-defined border. They are asymptomatic and typically seen on the upper trunk, although they have also reported on the face and extremities. The distribution of hair, formation of sweat, and skin sensation are unaffected by nevus anemicus (Ref: harrison.20th edition pg 1267